Erythrasma is caused by –
1. Corynebacterium
2. Staph
3. Streptococci
4. Viruses

Correct answer: 1. Corynebacterium

Explanation: Erythrasma is caused by corynebacterium minutissimum.